Sclerotic" bodies are seen in:
1. Histoplasmosis
2. Chromoblastomycosis
3. Coccidomycosis
4. Rhinosporiodosis

Correct answer: 2. Chromoblastomycosis

Explanation: Chromoblastomycosis